Which form of carbohydrate is present in Proteoglycan?
1. Monosaccharide
2. Disaccharide
3. Oligosaccharide
4. Polysaccharide

Correct answer: 4. Polysaccharide

Explanation: Ans. D. PolysaccharideProteoglycan contains carbohydrate more than protein. The form of carbohydrate is present in Glycoprotein is either aMonosaccharide or Oligosaccharide, but never Polysaccharide.